Most common neoplasm of appendix is:
1. Lymphoma
2. Adenocarcinoma
3. Leiomyosarcoma
4. Argentaffinoma

Correct answer: 4. Argentaffinoma

Explanation: Carcinoid Tumor in Appendix is known as argentaffinoma. MC tumor of appendix- Carcinoid tumor Small, localized, not associated with metastasis Not associated with carcinoid syndrome